As per 'Deadly dozen of chest injuries, which of the following is not immediately life-threatening
1. Pericardial tamponade
2. Open pneumothorax
3. Flail chest
4. Myocardial contusion

Correct answer: 4. Myocardial contusion

Explanation: The 'deadly dozen' threats to life from chestinjury. Immediately life threatening Airway obstruction Tension pneumothorax Pericardial tamponade Open pneumothorax Massive haemothorax Flail chest Potentially life threatening Aortic injuries Tracheobronchial injuries Myocardial contusion Rupture of diaphragm Oesophageal injuries Pulmonary contusion Bailey and love 27e pg: 367